Calcification of intervertebral disc is a feature of
1. Ankylosing spondylitis
2. Hyperparathyroidism
3. Charcot's disease
4. Alkaptonuria

Correct answer: 4. Alkaptonuria

Explanation: xray of ochronosis in alkaptonuria is seen symtpoms of alkaptonuria : SYMPTOMS * Urine becomes black when exposed to air. * Osteoarthritis (mainly spine, hips, shoulders and knees). * Black spots in the sclera of the eye (Ochronosis). * Discolored ear and dark earwax. * Heart valves are affected by the accumulation of HGA. * Blue-black speckled discoloration of the skin. * Kidney, prostate and bladder stones due to the build-up of HGA in the genito-urinary tract, during urine production. ref : maheswari 9th ed